Liquefaction foci are seen in:
1. Enamel.
2. Dentin.
3. Cementum.
4. All of the above.

Correct answer: 2. Dentin.